Spongiosis is seen in :
1. Acute eczema
2. Lichen Planus
3. Psoriasis
4. Pemphigus

Correct answer: 1. Acute eczema

Explanation: A i.e. Acute eczema